The serum tumor maker for trophoblastic tumor is :
1. a HCG
2. Calcitonin
3. b HCG
4. g HCG

Correct answer: 3. b HCG

Explanation: b HCG